Splenectomy is most useful in
1. Thrombocytopenia
2. Hereditary spherocytosis
3. H.S.purpura
4. Sickle cell anemia

Correct answer: 2. Hereditary spherocytosis

Explanation: Ref Harrison 19 th ed pg 652 We do not have a causal treatment for HS; i.e., no way has yet been found to correct the basic defect in the membrane-cytoskeleton structure. Given the special role of the spleen in HS ), it has long been thought that an almost obligatory therapeutic mea- sure was splenectomy. Because this operation may have more than trivial consequences, today we have more articulate recommenda- tions, based on disease severity (having found out, whenever ports- sible, about the outcome of splenectomy in the patient's relatives with HS), as follows. In mild cases, avoid splenectomy.